FDG-PET negative tumor is:
1. Atypical carcinoid
2. Typical carcinoid
3. Small cell carcinoma
4. Large cell neuroendocrine carcinoma

Correct answer: 2. Typical carcinoid

Explanation: * 18 FDG negative tumors - Have low mitotic & low metabolic activity (M-TB) - Mucinous Ca- Typical carcinoids- Bronchoalveolar Ca